All are live vaccines Except
1. BCG
2. Polio
3. Rabies
4. Measles

Correct answer: 3. Rabies

Explanation: LIVE ATTENUATED VACCINES:1. BCG2. MMR , MEASLES3. ORAL POLIO4. ORAL TYPHOIDKILLED VACCINES:1.RABIES2.HEPATITIS A3.PERTUSSIS4.IPV-POLIO5.JAPANESE B ENCEPHALITIS VACCINETOXOIDS:1.TETANUS2.DIPHTHERIASUBUNIT VACCINES:HEPATITIS BADOLESCENT VACCINATION:1.MMR2.HBV3.HPV